Disulfiram like reaction is not seen with:
1. Amoxicillin
2. Metronidazole
3. Cefoperazone
4. Disulfiram

Correct answer: 1. Amoxicillin